Lateral border of ischeorectal fossa is formed by?
1. Gluteus maximus
2. Perineal membrane
3. Pelvic diaphram
4. Obturator internus

Correct answer: 4. Obturator internus

Explanation: Ans. is 'd' i.e., Obturator internus Boundries of ischeoanal (ischeorectal) fossa are :- i) Anteriorly :- Posterior border of perineal membrane . ii) Posteriorly :- Gluteus maximus muscle, sacrotuberous ligament. iii) Laterally :- Ischial tuberosity and obturator internus. iv) Medially :- Sphincter ani externus (external anal sphincter) and pelvic diaphragm (levator ani).